All of the following are measures of dispersion Except:
1. Mean Deviation
2. Mode
3. Range
4. Standard deviation

Correct answer: 2. Mode

Explanation: Ans. B: Mode Measures of dispersion provide a quantitative measure of the variability of values. The means of dispersion in common use are: Range Quartile Deviation Mean Deviation Standard Deviation.